Type of collagen present in vitreous humor
1. Collagen type 1
2. Collagen type 2
3. Collagen type 3
4. Collagen type 4

Correct answer: 2. Collagen type 2

Explanation: COLLAGEN Ref:- Sima Jain; pg num:- 10